Valproic acid causes all EXCEPT-
1. It is an enzyme inducer
2. It causes obesity
3. It causes Hirsutism
4. It causes neural tube defects

Correct answer: 1. It is an enzyme inducer

Explanation: Ans. is 'a' i.e., It is an enzyme inducer o Most of the anticonvulsants are enzyme inducers except valproate which is an inhibitor. Note: Some guides have given option C as the answer. But option 'c' is correct as valproate can cause hirsutism: "Certain drugs, including danazol, sodium valprote and anabolic steroids can cause hirsutism". ...Main et al "Valproate can cause increased hair growth hirsutism"...................................................... www.netdoctor.co.uk "Valproate has been linked with development of PCOD which is characterized by obesity, acne, hirsutism and infertility"............................. Handbook of Epilepsy treatment. o Valproate can cause hirsutism, but this is an uncommon side effect.